The definitive colour of the iris depends upon the:
1. Anterior limiting layer
2. Stroma
3. Anterior pigmented epithelium
4. Posterior pigmented epithelium

Correct answer: 1. Anterior limiting layer

Explanation: Ans. Anterior limiting layer